Subdural Hematoma (SDH) is caused by
1. Bridging veins
2. Caroticocavemous fistula rupture
3. Middle meningeal artery
4. None

Correct answer: 1. Bridging veins

Explanation: (A) Bridging veins # SUBDURAL BLEEDING arises from rupture of cortical vessels/bridging veins.> Relatively severe trauma> No lucid interval> Diffuse concave lesion on computed tomography> Require immediate transfer to a neurosurgical unit for decision on evacuation 50 per cent mortality.